RD k diagnosed by:
1. +90 D
2. Hurby lens
3. 3 mirror contact lens
4. All

Correct answer: 4. All

Explanation: Ans. All